Most common complication following intestinal transplant is:
1. Sepsis
2. GVHD
3. PTLD
4. Vessel thrombosis

Correct answer: 1. Sepsis

Explanation: Ans. (a) SepsisRef: Sabiston Textbook of surgery, 20th ed; 671 -673.COMPLICATIONS* Most common complication following intestinal transplant -- Bacterial infection 70-90% (E. coli, Klebsiella, Enterobacter and Enterococci) followed by viral infection (CMV infection)* PTLD is more common following intestinal transplant 10-20%. Manifested within 1 year of transplantation and presents with fever, malaise, lymphadenopathy to life threatening malignant diseases. Rituximab is useful.* Graft Versus Host Disease has high incidence in Intestinal Transplant (0 - 14%). Treatment includes antithymocyte globulin and steroids.